Osteoblastic secondaries occurs with
1. Carcinoma prostate
2. Carcinoma rectum
3. Carcinoma endometrium
4. Wilm's tumour

Correct answer: 1. Carcinoma prostate

Explanation: (Carcinoma prostate) (1086-CSDT 13th)* Although some tumours may produce mainly osteolytic lesions (eg Kidney cancers) and others mainly osteoblastic lesions (eg prostate cancers), most metastatic lesion produce both types of lesion and may go through stages where one or the other predominates - 613- Harrison 17th* Osteolytic lesions are associated with hypercalcemia* and hydroxyproline - containing peptides* Osteoblastic lesions are associated with increased levels of serum alkaline phosphatase** Most common cause of osteolytic metastasis- In males - lung cancer- In female - Breast cancer Most common cause of Osteoblastic metastasis- In male - Prostate cancer- In female - Breast cancer* Lytic expansile metastasis seen in Thyroid, Renal carcinomaCarcinoma of prostate - 90% tumours are adeno carcinoma the tumour arises primarily in the peripheral zone (70%)**Periurethral (Tansition) zone - site for benign prostatic hyperplasia**Screening by transrectal Ultrasound TRUS / and PSATRUS - most useful for Taking guided biopsy*** Most common cause of sclerotic skeletal metastasis in a female patients is - Carcinoma breast